Filamentary keratitis may occur:
1. In trachoma
2. In kerato conjunctivitis sicca
3. Following cataract surgery
4. All of the above

Correct answer: 4. All of the above

Explanation: Ans. All of the above